Pin point pupil is seen in A/E :
1. Pontine haemorrhage
2. Organophosphorus poisoning
3. Opium poisoning
4. Barbiturate poisoning

Correct answer: 4. Barbiturate poisoning

Explanation: D i.e. Barbiturate All are causes of constricted pupils but in? Barbiturate poisoning the pupils are usually slightly constricted & react to light by alternate contraction & dilation and dilate during terminal asphyxiaQ